A person(HBs Ag negative) who has received the full course of Vaccine against HBV wants to know the response of vaccine. He should be suggested testing of this serological marker
1. HBs Ag
2. Anti-HBs Ag
3. IgM anti-HBc
4. HBe Ag

Correct answer: 2. Anti-HBs Ag

Explanation: Anti HBs is the protective antibody , It is present either after recovery from hepatitis B or immunization.